Vasoconstriction in blood vessels is seen with:
1. Cocaine
2. Lignocaine
3. Prilocaine
4. Bupivacaine

Correct answer: 1. Cocaine

Explanation: Cocaine